Most common type of bladder cancer is
1. Squamous cell carcinoma
2. Urothelial carcinoma
3. Adenocarcinoma
4. Carcinoid

Correct answer: 2. Urothelial carcinoma

Explanation: Types of bladder cancers*Epithelial tumours: (95%)*Urothelial ( Transitional ) carcinomas- Most common*Squamous cell carcinoma*Adenocarcinoma Rare types*Small cell carcinoma*Mesenchymal tumours: (5%)*Sarcomas